The commonest sign of nail psoriasis is:
1. Pitting
2. Pterygium
3. Oil drop sign
4. Onycholysis

Correct answer: 1. Pitting

Explanation: Nail changes in psoriasis - Most common - Nail pitting/Thimble pitting Most characteristic - oil drop sign/ salmon patch Onycholysis Leukonychia Subungual hyperkeratosis Nail tunnel